Which type of bacteria can not survive in absence of oxygen:
1. Obligate aerobe
2. Facultative anaerobes
3. Microaerophilic
4. Obligate Anaerobes

Correct answer: 1. Obligate aerobe

Explanation: Ans. (a) Obligate aerobe Aerobic bacteria require oxygen for growth. They may be obligate aerobes like the cholera vibrio, which will grow only in the presence of oxygen, or facultative anaerobes which are ordinarily aerobic but can also grow in the absence of oxygen, though less abundantly.Most bacteria of medical importance are facultative anaerobes. Anaerobic bacteria, such as clostridia, grow in the absence of o>rygen and the obligate anaerobes may even die on exposure to oxygen.Microaerophilic bacteria are those that grow best in the presence of low oxygen tension.